All are true of tinea Versicolor except -
1. Drug of choice is griseofulvin
2. The causative agent is Malassezia furfur
3. Wool lamp shows yellow fluorescence
4. KOH mount shows meatball and spaghetti appearance

Correct answer: 1. Drug of choice is griseofulvin

Explanation: Ans-ATinea VersicolorCausative agent: Pitryrosporuni orbiculare (Malassezia furfur)It is a superficial fungal infection of the skin caused by Malassezia furfur and related fungiThe yeast phase was known as Pityrosporum orbiculare (round); Pityrosporum ovale (oval)Now the genus Pityrosporum is considered invalidM. sympodialis - most common on normal skinM.globosa-most commonly associated with tinea versicolorPredisposing factors:Warm and humidClimate of tropicsPregnancySerious underlying disease,Immunocompromised hostBoth hyper and hypopigmented lesions are seenFine branny powdery scales are seen (Candle grease sign or coup doggie sign)Diagnosis:KGH mount; Spaghetti and meatball appearanceCultureWood's lamp examination: Gold to orange fluorescenceTherapyTopical; 2.5% Selenium sulphideSystemic; Ketoconazole, Itraconazole, Flucanozole - Single oral doseOther fungal infectionsDermatophytes I ringworm - superficial fungal infections by three genera- all affect the skin: Microsporum affects hair while epidermophvton affects nailsTrichophyton - affects skin, hairs, nails (remember as tri-all three structures affected)Most common cause of dermatophyte infectionTrichophyton rubrumMicrosporum - affects skin and hairEpidermophvton - affects skin and nailsCandidiasis - most common causative agent is Candida albicansOther species- C.glabrata, C.parapsilosis. C.tropicalis- rarely pathogenic